Mode of action of Fluoxetine is -
1. GABA inhibition
2. Adrenergic neuron blocking agent
3. Inhibition axonal uptake of 5HT
4. Alpha adrenergic stimulation

Correct answer: 3. Inhibition axonal uptake of 5HT

Explanation: Ans. is 'c' Inhibit axonal uptake of 5HT Fluoxetine is a tricyclic antidepressant (like imipramine, Amitriptyline)While typically TCA inhibit uptake of both NA and 5HT by neurons.Fluoxetine is selective serotonin reuptake inhibitor (SSRI)Therefore it is devoid of following side effectsAnticholinergic *Sedation*Hypotension*Other SSRIsFluvoxamine*Paroxetine*Also remember mechanism of action of these atypical TCAsTianeptine - It increase rather than inhibit 5-HT uptake *Mianserin - does not inhibit either NA or 5-HT uptake, it blocks presynaptic alpha-2 receptors, increases release and turnover of NA in brain *